Maximum refractive index ?
1. Cornea
2. Air
3. Lens
4. Vitreous

Correct answer: 3. Lens

Explanation: Ans. is 'c' i.e., Lens Lens has maximum refractive index among the refractive structures of eye. The refractive indices of the successive layers of lens increase from the periphery towards the nucleus.